External auditory canal atresia has been associated with all of the following except-
1. Low Birth Weight
2. Intrauterine infections
3. Intrauterine toxins
4. Polyhydramnios

Correct answer: 4. Polyhydramnios

Explanation: Ans. is 'd' i.e., Polyhydramnios External auditory canal atresiao The precise etiology of the failure of EAC canalization is not known.o Associations have been postulated between EACA and low birth weight, intrauterine trauma, toxins, infection.o Genetic defects are being identified for several craniofacial anomalies.